Most common cause of hematemesis in children is-
1. Extra hepatic portal vein obstruction
2. Non cirrhotic portal fibrosis
3. Veno - occlusive disease
4. Cirrhosis

Correct answer: 1. Extra hepatic portal vein obstruction

Explanation: Ans. is 'a' i.e., Extra hepatic portal vein obstruction * Variceal bleeding is the most common cause of gastrointestinal bleedIhematemesis in children.* Portal hypertension is the most common cause of esophageal variceal bleeding in children.* In children extrahepatic portal hypertension (non cirrhotic) is more common than the intrahepatic or cirrhotic portal hypertension."* Post sinusuoidal causes like Budd Chiari syndrome and veno occlusive disease are also observed but are less common.* Three most common causes of portal hypertension in children in India -i) Extrahepatic portal vein obstruction (most common)ii) Cirrhosisiii) Noncirrhotic portal fibrosis